Duchenne's muscular dystrophy affects which group of muscle s commonly:
1. Calf muscles
2. Shoulder muscles
3. Forearm muscles
4. Respiaory muscles

Correct answer: 1. Calf muscles

Explanation: Ans. A: Calf Muscles